In case of ascites, Le Veen shunt is done between peritoneum and
1. SVC
2. Cisterna Chyli
3. Gall bladder
4. Renal pelvis

Correct answer: 1. SVC

Explanation: Le Veen shunt is a one-way valve per it one oven our shunt done in order to drain ascitic fluid from peritoneal cavity to internal jugular vein. Reference : SRB edition :5 page: 626